Hanging causes large amount of injury to:
1. Vertebral artery
2. Carotid A
3. Trachea
4. Oesophagus

Correct answer: 2. Carotid A

Explanation: B i.e. Carotid arteryReddy's Essentials of forensic medicine & toxicology 23/e P-287 - Injury to trachea is unusual & intima of carotid artery show transverse splits with extravasation of blood.Parikh 6/e P-3.40 - Jugular veins are occluded by 2 kg tension, carotids by 3.5 kg, trachea by 15 kg, vertebral arteries by 16.6 kg. So amount & chances of injury is also in same order